All the following muscles are supplied by cranial accessory except
(muscle spared, if spinal accessory nerve is damaged):
1. Stylopharyngeus
2. Salpigopharyngeus
3. Palatopharyngeus
4. Cricopharyngeus

Correct answer: 1. Stylopharyngeus

Explanation: Stylopharyngeus is the only muscle in the pharynx innervated by the glossopharyngeal nerve (CN IX) and is done by its motor branch, which supplies special visceral efferent (SVE) fibres to it, while all other muscles of pharynx are supplied by cranial accessory nerve.
The tensor veli palatini is innervated by the medial pterygoid nerve, a branch of mandibular nerve, the third branch of the trigeminal nerve (CN V)-the only muscle